Earliest clinical manifestation of siderosis bulbi
1. Iris is stained greenish
2. Retinal pigmentary degeneration
3. Glaucoma
4. Rusty deposits in the anterior subcapsular cells of the lens

Correct answer: 4. Rusty deposits in the anterior subcapsular cells of the lens

Explanation: These rusty deposits are arrested radially in a ring ---- Earliest manifestation.